Median nerve supplies which branch to the brachial aer -
1. Sensory branch
2. Sympathetic branch
3. Motor branch
4. None

Correct answer: 2. Sympathetic branch

Explanation: Ans. is'b'i.e., Sympathetic branchRef: Gray's Anatomy 39,/el'Median nerve supplies vascular branches to the brachial artery in the arm.These fibres are sympathetic fibres.Median nerve has no sensory or cutaneous branch in the arm.Only branches it gives off in the arm are sympathetic branches to the brachial artery.